In orthodontics activity index means:
1. RANK/ and OPG in GCF
2. IL-1 beta/IL R-A in GCF
3. IL-1/IL6 in saliva
4. IL-6/11.8 in saliva

Correct answer: 2. IL-1 beta/IL R-A in GCF